IPC 319 deals w ith -
1. Definition of hurt
2. Voluntarily causing hurt
3. Definition of grievous hurt
4. Voluntarily causing grievous hurt

Correct answer: 1. Definition of hurt

Explanation: Ans. is 'a' i.e.. Definition of hurt Section of IPCDescription319Defines hurt320Defines grievous hurt321Voluntarily causing hurt322Voluntarily causing grievous hurt323Punishment for voluntarily causing hurt324Voluntarily causing hurt by dangerous weapons or means325Punishment for voluntarily causing grievous hurt326Voulntarily causing grievous hurt by dangerous weapon or means